Oneiroid state is :
1. Same as stupor
2. Dream like state
3. Characterized by heightened state of consciousness
4. Same as Torpor

Correct answer: 2. Dream like state

Explanation: Oneiroid state is dream like a state, also called as "twillight" state, where patient feels as if he is in a dream and awareness is restricted.
Stupor : Patient is akinteic and mute, also called as semicoma.
Torpor : It is described as lowering of consciousness and it is short of Stupor.